Which of the following are disorders of copper metabolism?
1. Wilson's disease
2. Menke's Kinky hair syndrome
3. MEDNIK syndrome
4. All of the above

Correct answer: 4. All of the above

Explanation: All of the above are disorders of copper metabolism.
MEDNIK (Mental retardation, Enteropathy, Deafness, Neuropathy, Icthyosis, Kesatoderma) has features of both Wilson's and Menke's disease.